Annular Ring scotoma is seen in:
1. Retinitis pigmentosa
2. Night blindness
3. Severe myopia
4. Angle closure glaucoma

Correct answer: 1. Retinitis pigmentosa

Explanation: Retinitis pigmentosa